Which of the following drugs will decrease heart rate in a patient with a normal heart rate but will have little effect on heart rate in a cardiac transplant recipient ?
1. Adrenaline
2. Noradrenaline
3. Isoproterenol
4. Phenylephrine

Correct answer: 4. Phenylephrine

Explanation: A heart transplant is the replacement of a person's diseased or damaged heart with a donor's healthy heart. The donor is a person who has died and whose family has agreed to donate their loved one's organs.
In more than four decades since the performance of the first human heart transplant in 1967, heart transplantation has changed from an experimental operation to an established treatment for advanced heart disease. More than 2,000 heart transplants are performed each year in the U.S. Each year thousands more would benefit from a heart transplant if more donated hearts were available.
Why Are Heart Transplants Performed?
A heart transplant is considered when heart failure is so severe that it does not respond to any other therapy, but the person's health is otherwise good. The leading reasons why people receive heart transplants are because they have: